Classic sign of lead induced peripheral neurotoxicity is:
1. Loss of vibration sense
2. Paraesthesia
3. Anaesthesia
4. Foot drop

Correct answer: 4. Foot drop

Explanation: Lead-induced pathological changes in these fibres include segmental demyelination and axonal degeneration. Extensor muscle palsy with wrist and ankle drop has been recognized since the time of Hippocrates as the classic clinical sign of the peripheral neurological toxicity of lead; however, this generally only occurs with chronic lead poisoning and is rare in acute exposure to lead. Ref :